Not true about vancomycin is -
1. 95% oral bioavailability
2. Inhibits cells wall synthesis
3. Can be used parenterally as well as orally
4. Indicated for MRSA infections

Correct answer: 1. 95% oral bioavailability

Explanation: Ans. is 'a' i.e., 95% oral bioavailability o Vancomycin is not absorbed orally (zero bioavailibility).